Bisphosphonates are used in all EXPECT
1. Paget's disease
2. Vitamin D excess
3. Postmenopausal osteoporosis
4. Hypercalcemia of malignancy

Correct answer: 2. Vitamin D excess

Explanation: Bishosphonates are analogue of Pyro phosphate. They are most effective as anti resorptive drugs they are used to prevent calcium resorption in osteoporosis other uses: hypercalcemia of malignanct, pagets disease . (REF.Essential of medical pharmacology K D TRIPATHI 6 Edition, Page No - 333)